Gypsum bonded investment should not be heated above
1. 900 degrees centigrade
2. 1000 degrees centigrade
3. 700 degrees centigrade
4. 800 degrees centigrade

Correct answer: 3. 700 degrees centigrade